Rape is defined under which IPC
1. Sec 377 IPC
2. Sec 320 IPC
3. Sec 375 IPC
4. Sec 357 IPC

Correct answer: 3. Sec 375 IPC